Minimum interval between 2 live vaccine immunization -
1. 2 weeks
2. 4 weeks
3. 6 week
4. 8 weeks

Correct answer: 2. 4 weeks

Explanation: Ans. is 'b1 i.e., 4 weeks Basic principle of immunezationMinimum 4 week interval recommended between 2 live vaccine adminstration except OPVand oral thyphoid.Two or more killed vaccine may be administrated simultaneously or at any given internalA live and killed vaccine given simultaneously but at different site.If immunisation status unknown, give age appropriate vaccineMixing of vaccine in same syringe not recommendedLive vaccine should be avoided in AIDS,